Which one of the following is not an ADVANTAGE of an electrical synapse over a chemical synapse, in the CNS?
1. Narrow time domain
2. Bidirectionality
3. Plasticity
4. No latency

Correct answer: 3. Plasticity

Explanation: The events at the electrical synapses occur in narrow time frame; there is no latency, no synaptic delay, and the conduction is faster, as compared to a chemical synapse. Bidirectionality is a feature of electrical synapse which is not shown by chemical synapse. Plasticity is more marked at the chemical synapses. Amplification of signal, by means such as presynaptic facilitation and divergent synaptic circuits, is a feature of the chemical synapses